Ratio of concentration of the sodium ions inside the cells to that of outside the cells:
1. 0.5
2. 0.3
3. 0.1
4. 0.01

Correct answer: 3. 0.1

Explanation: Ans. c (0.1). (Ref. Ganong Physiology 22nd/pg.8, 30)# The cell membrane is mainly a bilayer of phospholipid molecules, the polar head extending into the extracellular and intracellular solution.# The principal ions involved in transmembrane potential are potassium, sodium, chloride, and calcium.# The sodium-potassium pump maintains concentration gradients of Na+ and K+ across the membrane of every neuron.# The resting potential (-70 mV) is the membrane potential that results from the concentration gradients of these ions, and is related to the ionic concentrations inside and outside the cell.# The concentration of the sodium ions outside the cells is 10 times higher than that inside the cells.Conditions required for this sodium-potassium pump to operate are:a) There must be sodium ion in the cytoplasm,b) There must be ATP available to drive the protein molecular reconfiguration, andc) There must be potassium ion for exchange in the extracellular environment.